Which of the following  pontic design is non-mucosal type?
1. Ridge-lap
2. Modified ridge-lap
3. Sanitary
4. All of the above

Correct answer: 3. Sanitary